The diagnostic procedure not done in case of ph eochromoc ytoma.
1. CT scan
2. MRI
3. FNAC
4. MIBG scan

Correct answer: 3. FNAC

Explanation: FNAC "Percutaneous fine-needle aspiration of chromallin tumors is contraindicated; indeed, pheochronwcytoma should be considered before adrenal lesions are aspirated." -Harrison "Catastrophic hypertensive crisis and fatal cardiac arrhythmias can occur spontaneously or may be triggered by intravenous contrast dye or glucagon injection, needle biopsy of the mass, anesthesia, and surgical procedures." -